Decalcified freeze-dried bone graft is an example of
1. Xenograft
2. Autograft
3. Alloplast
4. Allograft

Correct answer: 4. Allograft